Hysteroscope procedure is done for -
1. Vagina
2. Cervix
3. Fallopian tubes
4. Uterus

Correct answer: 4. Uterus

Explanation: Ans. is 'd' i.e., Uteruso Hysteroscopy is a procedure that allows your doctor to look inside your uterus in order to diagnose and treat causes of abnormal bleeding. Hysteroscope in the scope used for visualization of the uterus.